What is not given in fructose intolerance patient?
1. Glucose + Fructose
2. Fructose + Sucrose
3. Fructose + Galactose
4. Fructose + Maltose

Correct answer: 2. Fructose + Sucrose

Explanation: Defects in Fructose Metabolism Cause DiseaseA lack of hepatic fructokinase causes essential fructosuria, which is a benign and asymptomatic condition. The absence of aldolase B, which cleaves fructose-1-phosphate, leads to hereditary fructose intolerance, which is characterized by profound hypoglycemia and vomiting after consumption of fructose (or sucrose, which yields fructose on digestion). Diets low in fructose, sorbitol, and sucrose are beneficial for both conditions. Ref: Harper's Biochemistry; 30th edition; Chapter 20 The Pentose Phosphate Pathway & Other Pathways of Hexose Metabolism